True about thymus gland is?
1. Size increases after puberty
2. Red and white cell mass
3. Consists of Hassalls corpuscles
4. Forms immunoglobulins

Correct answer: 3. Consists of Hassalls corpuscles

Explanation: ANSWER: (C) Consists of Hassalls corpusclesREF: Guyton and Hall 11th edition page 441, Grays anatomy 39th edition page 962, http:// en .wikipedia. org/wiki/ThymusSize of thymus is maximum at puberty and decreases afterwardsRed pulp and white pulp is a part of spleen not thymusThymus plays a role in T cell maturation not immunoglobulins formationTHYMUS:The thymus is composed of two identical lobes and is located anatomically in the anterior superior mediastinum, in front of the heart and behind the sternumThe thymus is largest and most active during the neonatal and pre-adolescent periods, By the early teens, the thymus begins to atrophy and thymic stroma is replaced by adipose (fat) tissue. Nevertheless, residual T lymphopoiesis continues throughout adult life. The thymus reaches maximum weight (20 to 37 grams) by the time of puberty.AgeMassbirthabout 15 grams:pubertyabout 35 gramstwenty-five years25 gramssixty yearsless than 15 gramsseventy yearsas low as 5 gramsHistology:Histologically, the thymus can be divided into a central medulla and a peripheral cortex which is surrounded by an outer capsule.Cortex:The cortical portion is mainly composed of lymphoid cells, supported by a network of finely- branched epithelial reticular cells. The cortex is the location of the earliest events in thymocyte development, where T cell receptor gene rearrangement and positive selection takes place.Medulla:In the medullary portion, the reticulum Is coarser than in the cortex, the lymphoid cells are relatively fewer in number, and there are foundpeculiar nest-like bodies, the concentric corpuscles of Has sail. These concentric corpuscles are composed of a central mass, consisting of one or more granular cells, and of a capsule formed of epithelioid cells